Pain in inflammation is mediated by
1. Histamine and nitric oxide
2. Prostaglandins and interleukins
3. Interferons and free radicals
4. Prostaglandins and bradykinins

Correct answer: 4. Prostaglandins and bradykinins

Explanation: ref robbins 9th ed, page 90, tab3.7